What is the order of puberty -
1. Telarchy - pubarchy - menarchy
2. Puberchy - telarchy - menarchy
3. Puberchy - menarchy - telarchy
4. Adrenarchy - telarchy - pubarchy

Correct answer: 1. Telarchy - pubarchy - menarchy

Explanation: Ans. is 'a' i.e., Thelarchy-Pubarchy-Menarchy